Ishihara charts are used in diagnosis of which of the following?
1. Myopia
2. Hypermetropia
3. Colour blindness
4. None of the above

Correct answer: 3. Colour blindness

Explanation: The most common test for color blindness uses the Ishihara charts, which are plates containing figures made up of colored spots on a background of similarly shaped colored spots. Ref: Ganong's Review of Medical Physiology 23rd edition, Chapter 12.